Who looks after the work of Anganwadi worker?
1. Auxiliary nurse midwife
2. Mukhyasevika
3. Village health guide
4. ASHA

Correct answer: 2. Mukhyasevika

Explanation: Mukhyasevika looks after the work of Anganwadi worker Administrative unit of ICDS-Community Development Block Each project covers population of 1,00,000 (rural/urban) or 35,000 (tribal) 1 CDPO (Community Development Project Officer) is in charge of 4 supervisors (Mukhyasevikas) and 100 Anganwadis (each supervisor for 25 Anganwadis).